For screening of Medullary ca which of the following is estimated:
1. Serum HCG
2. Serum AFP
3. Serum Calcium
4. Serum calcitonin

Correct answer: 4. Serum calcitonin

Explanation: Ans. is 'd' ie Serum calcitoninMCT can be of two types - sporadic and familial (occuring in MEN syn. 2A & 2B and Familial cases without MEN syn.)The familial MTC are more aggressive, multicentric (bilateral) and present at a younger age, therefore high risk cases should be screened for MTC by - detecting RET mutation. The genetic screening tests are supplemented by estimating serum calcitonin levels in the basal state and after stimulation by either calcium or pentagastrin.Prophylactic total thyroidectomy is indicated in RET mutation carriers once the mutation is confirmed.